All are benefits of Supraglottic airway device over Endotracheal tube except
1. It is less invasive
2. It causes less haemodynamic alteration
3. It prevents aspiration
4. It requires less time for insertion

Correct answer: 3. It prevents aspiration

Explanation: Endotracheal tube is the best device to prevent aspiration. There is an increased incidence of aspiration of gastric contents with laryngeal mask airway. The Laryngeal Mask Airway LMA is a supraglottic airway device which sits in the hypopharynx and partially protects the larynx from pharyngeal secretions, but not gastric regurgitation. Advantages: Easy and rapid Less invasive Better hemodynamic stability Very useful in difficult intubations Less tooth and laryngeal trauma Does not require muscle relaxation Does not require neck mobility Disadvantages: Increased risk of gastrointestinal aspiration Less safe in prone or jackknife positions Less secure airway Greater risk of gas leak and pollution Can cause gastric distention